Chediak-Higashi syndrome is inherited as:
1. Linked dominant trait
2. Autosomal dominant
3. Autosomal recessive
4. X-linked recessive

Correct answer: 3. Autosomal recessive

Explanation: Chédiak–Higashi syndrome
Autosomal recessive disease characterized by oculocutaneous albinism, immune deficiency, coagulation deficiency and neuropathy; it is that has material basis in mutations in the CHS1 gene.
Chédiak–Higashi syndrome (CHS) is a rare autosomal recessive disorder that arises from a mutation of a lysosomal trafficking regulator protein, which leads to a decrease in phagocytosis. The decrease in phagocytosis results in recurrent pyogenic infections, albinism, and peripheral neuropathy.